Wellen's syndrome suggests
1. Stable angina
2. Unstable angina
3. Lugwig's angina
4. Prinzmetal angina

Correct answer: 2. Unstable angina